Moth eaten alopecia is seen in -
1. Black dot tinea
2. Telogen effluvium
3. Alopecia areata
4. Secondary syphilis

Correct answer: 4. Secondary syphilis

Explanation: Patchy hair loss of the scalp is described as moth eaten syphilitic alopecia seen in secondary syphilis. Ref Harrison20th edition pg 1202